What is ligament of lockwood related to
1. Gall bladder
2. Scrotum
3. Orbit
4. Lens

Correct answer: 3. Orbit

Explanation: Ans. (c) OrbitRef: Khurana Anatomy 2/e, p. 493It is a fascial expansion of the extraocular muscles formed by fusion of sheaths of MR, IR, LR, IO extending from the posterior lacrimal crest to the lateral orbital margin.